The indoor smoke contains a range of health-damaging pollutants, which include all of the following except -
1. Lead oxide
2. Carbon monoxide
3. Sulfur oxides
4. Benzopyrenes

Correct answer: 1. Lead oxide

Explanation: Carbon monoxide, sulphur oxides and polycyclic aromatic hydrocarbons are from fuel/ coal combustion whereas lead oxide is from remodelling/ demolition of painted surfaces. Park's Textbook of Preventive and Social Medicine, 25th edition, Page No. 795